In reproductive and child health programme, districts are divided on the basis of-
1. Crude birth rate & infant mortality rate
2. Crude birth rate & female literacy rate
3. Crude death rate & crude birth rate
4. Couple protection rate & infant mortality rate

Correct answer: 2. Crude birth rate & female literacy rate

Explanation: Ans. is 'b' i.e., Crude Birth Rate & Female Literacy Rate